Irresistible sexual desire in a male is known as:
1. Nymphomania
2. Tribadism
3. Satyriasis
4. Sadism

Correct answer: 3. Satyriasis

Explanation: Ans. Satyriasis